Common site of bleeding:
1. Woodruff's plexus
2. Brown area
3. Little's area
4. Vestibular area

Correct answer: 3. Little's area

Explanation: Sites of Epistaxis 1) Little's area - 90% 2) Above the level of middle turbinate- From anterior and posterior ethmoidal vessels 3) Below the level of middle turbinate-From sphenopalatine artery 4) Posterior part of nasal cavity 5) Nasopharynx 6) Diffuse -Both from septum and lateral nasal wall; Seen in general systemic disorders and blood dyscrasias Ref: Dhingra 7e pg 198.